In a small child diagnosed with H.infl u enza meningitis, what investigation must be done before discharging him from the hospital ?
1. BERA
2. MBI
3. CT scan
4. X-ray skull

Correct answer: 1. BERA

Explanation: Ans. is 'a' i.e., BERA o Auditory Brainstem evoked response (ABER), also called Brainstem evoked response audiometry (BERA) should be done.